Not a cause for Mikulicz's syndrome:-
1. Leukemia
2. Lymphosarcoma
3. Sarcoidosis
4. Diphtheria

Correct answer: 4. Diphtheria

Explanation: Diphtheria is not a recognised cause for Mikulicz's syndrome Mikulicz's syndrome Bilateral symmetrical enlargement of lacrimal and salivary glands Causes Leukemia Lymphosarcoma Benign Lymphoid hyperplasia Hodgkin's disease Sarcoidosis Tuberculosis